Which Benzodiazepine decreases post-operative nausea & vomiting:-
1. Lorazepam
2. Diazepam
3. Midazolam
4. All

Correct answer: 3. Midazolam

Explanation: Midazolam decreases the incidence of PONV. Midazolam hydrochloride is a short-acting benzodiazepine CNS depressant. It may be administered before surgery as a premedicant to relieve apprehension and impair memory, for induction of anaesthesia (although in comparison with barbiturates its use is associated with a slower onset of action and a more prolonged recovery time), and for conscious sedation. Midazolam may be administered by mouth,parenterally, or the intranasal or endorectal route in children; preservative free intrathecal midazolam has been used for postoperative analgesia in caesarean section delivery. It has been postulated that a possible mechanism for the anti-emetic effect of miazolam could be an action at the chemoreceptor trigger zone reducing synthesis, release and postsynaptic effect of dopamine. Whether midazolam reduce dopamine release centrally, or by blocking the re-uptake of adenosine, causing anadenosine-mediated reduction of dopamine release, has been matter of debate.